A child who had a congenital defect of cleft lip and
cleft palate is most likely to suffer from which kind of malocclusion
1. Bilateral posterior cross bite
2. A collapsed anterior mandibular arch
3. Protrusion and spacing of maxillary anterior teeth
4. Class II division I malocclusion

Correct answer: 1. Bilateral posterior cross bite